Which is the most common ocular manifestation of Thyroid Eye disease?
1. Exophthalmos
2. Lid retraction
3. Congestion of blood vessels over the insertion of the lateral rectus
4. Corneal exposure keratopathy

Correct answer: 2. Lid retraction

Explanation: Lid signs: Retraction of the upper lids producing the characteristic staring and frightened appearance (Dalrymple's sign); Lid lag (von Graefe's sign) i.e., when globe is moved downward, the upper lid lags behind Fullness of eyelids due to puffy oedematous swelling (Enroth's sign) Difficulty in eversion of upper lid (Gifford's sign). Most common amongst these is lid retraction producing the characteristic staring look.